Spanish windlass is practiced in which form of strangulation:
1. Bansdola
2. Garroting
3. Throttling
4. Mugging

Correct answer: 2. Garroting

Explanation: Ans. Garroting